Not a tributary of cavernous sinus:
1. Superior petrosal sinus
2. Sphenoparietal sinus
3. Inferior ophthalmic vein
4. Superficial middle cerebral veins

Correct answer: 1. Superior petrosal sinus

Explanation: Tributaries of cavernous sinusFrom the orbit:- Superior ophthalmic veins- Inferior ophthalmic vein or its branch- Central vein of the retinaFrom the brain:- Superficial middle cerebral vein- - Inferior cerebral veinsFrom the meninges:- Sphenoparietal sinus- Frontal trunk of the middle meningeal veinDraining channels:- Transverse sinus through the superior petrosal sinusInternal jugular vein through inferior petrosal sinus and through a plexus around the internal carotid artery- Into pterygoid plaexus of veins through the emissary veinsFacial vein through the superor ophthalmic vein